Which of the following is not formed sphincter of oddi complex?
1. Sphincter pancreaticus
2. Sphincter ampullae
3. Superior choledochal sphincter
4. Posterior choledochal sphincter

Correct answer: 4. Posterior choledochal sphincter

Explanation: Sphincter of oddi complex:- 1. sphincter ampullae 2. sphincter pancreaticus 3. superior choledochal sphincter 4. inferior choledochal sphincter